Tracheostomy reduces dead space by
1. By-passing upper airway
2. Increased V/Q ratio
3. Reducing airflow resistance
4. By all of the above mechanisms

Correct answer: 1. By-passing upper airway

Explanation: Important effects of tracheostomy on respiratory physiologyTracheostomy decreases dead space as upper airways and nasal cavity are bypassedTracheostomy decreases ventilation/perfusion (V/Q) ratio. Increased dead space increases ventilation/perfusion ratio as the dead space (containing air) is ventilated but not perfused for gaseous exchange. Tracheostomy decreased the dead space, therefore it will decrease the V/Q ratioTracheostomy reduces the airflow resistance(Refer: Morgan and Mikhail's Clinical Anaesthesiology, 5th edition, pg no. 1237)